Best way to evaluate discrepancy in articular disc of TMJ is:
1. Transpharyngeal projection
2. MRI
3. Arthrography
4. Arthroplasty

Correct answer: 2. MRI

Explanation: Soft tissues of the joint (articular disk) can be imagined with MRI or Arthrography. MRI produces superb images of the soft tissues in internal derangement of the disk. Arthrography is invasive and has the risk of infection and allergic reaction due to the contrast agent.